Following surgical resection of a large thyroid mass, a patient complains of persistent hoarseness and a weak voice. What is the most likely cause of these symptoms?
1. Traumatic intubation
2. Prolonged intubation
3. Injury to the recurrent laryngeal nerve
4. Injury to the superior laryngeal nerve

Correct answer: 3. Injury to the recurrent laryngeal nerve

Explanation: The most common complication of thyroid and parathyroid surgery is iatrogenic injury to the recurrent laryngeal nerve, which can result in temporary (up to 7.1%) or permanent (up to 3.6%) paralysis of the vocal cord.